All of the following mechanisms might account for a reduce-risk of upper genital tract infection in users of progestin - releasing IUDs, except:
1. Reduced retrograde menstruation
2. Decreased ovulation
3. Thickened cervical mucus
4. Decidual changes in the endometrium

Correct answer: 2. Decreased ovulation

Explanation: Ans. is b, i.e. Decreased ovulationRef: The Contraception Report' March 02, Vol 13 No. 1Several mechanisms account for a potential reduced risk of upper-genital-tract infection in users of progestin releasing IUDs.* First, the local effect of progestin on cervical mucus make it thick and relatively impenetrable to bacteria.* Since uterine bleeding is eventually greatly decreased in users of the LNG-IUD (progestin releasing IUD), any retrograde menstruation (which might seed the fallopian tubes with bacteria) should be reduced as well.* In addition, decidual changes in the endometrium may make it less susceptible to infection.In other words, progestin-releasing IUDs may mimic the protective effect of combined oral contraceptives and depot medroxyprogesterone acetate against upper-genital-tract infection.Also Know* PID is common in non hormonal IUCD.* IUCD related bacterial infections are due to contamination of endometrial cavity at the time of insertion.* Actinomycosis infection is related to IUCD use.* Most common side effect of IUCD's is increased vaginal bleeding.* Contraception of choice in patients with current recent or recurrent PID is hormonal or barrier method